25 years old 2nd gravida with B negative blood group reaches in labour room in full dilatation. All the following norms to be followed except:
1. Cord blood to be saved in 2 l - plain & EDTA l
2. Early clamping of cord
3. Avoidance of manual removal of placenta
4. Liberal prophylactic use of ergometrine

Correct answer: 4. Liberal prophylactic use of ergometrine

Explanation: Use of ergot derivatives is contraindicated in Rh negative mother to avoid chances of feto-maternal micro transfusions. As the mother is Rh -ve so to decrease the chances of Rh isoimmunization, early cord clamping is done. Cord blood is sampled for baby's blood group and Direct Coombs Test Manual removal of placenta is avoided as it would increase risk of microtransfusion to mother causing further sensitisation